Which nerve passes over the neck of fibula?
1. Common peroneal nerve
2. Sural nerve
3. Saphanous nerve
4. Sciatic nerve

Correct answer: 1. Common peroneal nerve

Explanation: Ans. is 'a' i.e., Common peroneal nerve * Common peroneal nerve winds around neck of fibula to enter peroneus longus muscle. Because of its subcutaneous position it can be easily palpated here and is very prone to injury. So fracture neck of fibula may cause foot drop.